all are causes of hypertension with hypokelemia except
1. bilateral renal artery stenosis
2. end stage renal disease
3. primary hyperaldosteronism
4. cushings disease

Correct answer: 2. end stage renal disease

Explanation: liddle syndrome severe hypertension Hypokalemia and metabolic alkalosis Polyuria polydipsia and muscle weakness low aldosterone and reninn levels Autosomal dominant Blood pressure does not improve with Aldactone but does improve with triamterene or amilor-ide Other Causes of Hypertension and pokalemia Renovascular Disease Diuretic therapy Cushing's Syndrome Licorice ingestion CAH Rare renin-secreting tumors ref : harrisons 21sted